Maximum working hours duration including overtime for a person working in a factory as per the factories act 1948 is
1. 48 hours
2. 60 hours
3. 72 hours
4. 80 hours

Correct answer: 2. 60 hours

Explanation: Factories Act* The act prohibits employment of children below the age of 14 years and declares that age between 15 to 18 as adolescents.* Adolescents should be duly certified by the Certifying surgeons.* Adolescent s employees are allowed to work only between 6 AM and 7 PM.* Prescribes a maximum of 48 hours per week not exceeding 9 hours per day with 1/2 hr rest after 5 hours of continuous work.* The total number of hours of work in a week including overtime shall not exceed 60 hrs.